All are features of neonatal necrotizing enterocolitis except -
1. Abdominal distension
2. Increased bowel sound
3. Metabolic acidosis
4. Pneumoperitoneum

Correct answer: 2. Increased bowel sound

Explanation: Ans. is 'b' i.e., Increased bowel sound o Bowel sounds are diminished or absent.